Which of the following poison is associated with the development of Acrodynia?
1. Mercury
2. Oxalic acid
3. Phenolic acid
4. Carbolic acid poisoning

Correct answer: 1. Mercury

Explanation: Acrodynia also known as pink disease is characterised by a generalised pink rash. It is a idiosyncratic hypersensitivity reaction of insidious onset with anorexia, insomnia, sweating, skin rash, photophobia, puffy hands and feet and peeling of skin. It occurs as a result of chronic exposure to mercury and usually in children. Ref: The Essentials of Forensic Medicine And Toxicology by Dr. K. S. Narayan Reddy 27th edition; Pages 468; 469; 476.